Because of circle of least diffusion, the distant vision is comparatively good in
1. Compound myopic astigmatism
2. Mixed astigmatism
3. Simple myopic astigmatism
4. Compound hypermetropic astigmatism

Correct answer: 2. Mixed astigmatism

Explanation: At point D, the divergence of vertical rays is exactly equal to the convergence of the horizontal rays from the axis. So here the section is a circle, which is called the circle of least diffusion. Mixed astigmatism: refers to a condition where in the light rays in one meridian are focused in front and in other meridian behind the retina. Thus in one meridian eye is myopic and in another hypermetropic. Such patients have comparatively less symptoms as 'circle of least diffusion' is formed on the retina. Reference :- A K KHURANA; page:-25,26,37